A patient presented to you after an assault and penetrating knife injury to the abdomen. X-Ray shows gas under the diaphragm. Most common organ damaged in this case:
1. Spleen
2. Intestine
3. Liver
4. Lung

Correct answer: 2. Intestine

Explanation: Ans.B intestine X-Ray shows gas under the diaphragm suggests perforating injury . Most common organ damaged in Penetrating or stab injury : Liver Most common organ damaged in Perforating injury : Small Intestine Most common organ damaged in Blunt abdominal injury : Spleen Most common organ damaged in Seat belt injury : Mesentry Most common organ damaged in Blast injury : Head above water : TM Below water : GIT Most common organ damaged in Deceleration injury- Dudodenojejunal flexure